Dohle bodies are seen in:
1. Neutrophils
2. Macrophages
3. Plasma cells
4. Histiocytes

Correct answer: 1. Neutrophils

Explanation: a. Neutrophils(Ref: Nelson's 20/e p 1048, Ghai 8/e p 357)In sepsis or severe inflammatory disorders, morphologic changes can be seen in neutrophils, like cytoplasmic vacuoles,Toxic granules (coarser and darker than normal neutrophilic granules) and Dohle bodies, which are patches of dilated endoplasmic reticulum that appear as sky-blue cytoplasmic "puddles."